The most potent topical corticosteroids is –
1. Hydrocortisone butyrate cream 0.1%
2. Betamethasone valerate cream 0.1%
3. Clobetasol propionate cream 0.5%
4. Clobetasone butyrate cream 0.5%

Correct answer: 3. Clobetasol propionate cream 0.5%

Explanation: Clobitasol propionate 0.5% is a superpotent (class 1-most potent class) topical steroid.